Which of the following contrast agent is non iodinated:
1. lohexol
2. Diatrizoate
3. Gadolinium
4. Visipaque

Correct answer: 3. Gadolinium

Explanation: C i.e. Gadolinium